All of the following drugs are contraindicated in patients with G-6-PD deficiency, except -
1. Cotrimoxazole
2. Furazolidone
3. Nalidixic acid
4. Ceftriaxone

Correct answer: 4. Ceftriaxone

Explanation: Ans. is 'd' i.e., Ceftriaxone Drugs causing hemolytic Anaemia in G-6-PD deficiency Aminosalicylic acid Antimalarials Primaquine, Quinine Analgesics - Aspirin, Acetanilid Chloramphenicol Cotrimoxazole Dapsone Nalidixic acid Nitrofurantoin Phenacetin Probenecid Procainamide Quinidine Sulfonamides (Sulfamethoxazole) Vitamin C Vitamin K (water soluble form) Methylene blue Niridazole - Phenazopyridine Doxorubicin